All of the following statements regarding prevalence are true except-
1. It is rate
2. It is proportion
3. Duration of disease effects prevalence
4. Numerator is a part of denominator

Correct answer: 1. It is rate

Explanation: Ref:Parks 23rd edition pg 61. Prevalence is a proportion with numerator being a part of denominator. Prevalence refers specifically to all current cases (old and new) existing at a given point in time, or over a period of time in a given population.